In depression, there is deficiency of :
1. 5–HT
2. Acetylcholine
3. Dopamine
4. GABA

Correct answer: 1. 5–HT